Angular vein infection causes thrombosis in?
1. Cavernous sinus
2. Suprasaggital sinus
3. Inferior saggital sinus
4. Straight sinus

Correct answer: 1. Cavernous sinus

Explanation: ANSWER: (A) Cavernous sinusREF: Gray's anatomy 40th ed ch: 29Angular vein is related to the danger area of the face. It is formed by junction of supra orbital and supra trochlear vein. It can be seen 8mm medial to medial canthus. it pierces orbucalis oculi. It drains into anterior facial vein. Angular vein communicates with the cavernous sinus through a communicating vein and it gives a tributary to formation of superiorophthalmic vein. Deep facial vein from the pterygoid plexus joins the anterior facial vein. The pterygoid plexus is connected to cavernous sinus through communicating veins which pass through foramen of vesalvius.